Which of the following is a Rave drug?
1. Cocaine
2. Methamphetamine
3. Heroin
4. Cannabis

Correct answer: 2. Methamphetamine

Explanation: Rave drugs are used for recreational purpose in parties.
Methamphetamine, LSD and Ketamine are the important Rave drugs.